The deciduous canine emerges:
1. Before lateral incisor
2. Before first molar
3. After first molar
4. After second molar

Correct answer: 3. After first molar